Maximum permissible noise level in hospital wards is:
1. 20-35 dBA
2. 35-40 dBA
3. 40-45 dBA
4. 50-60 dBA

Correct answer: 1. 20-35 dBA

Explanation: Ans: A i.e. 20-35 dBA Acceptable noise levels Acceptable noise level in hospitals (wards) is 20-35 dBA Acceptable noise level in library is 35-40 dBA \\ Acceptable noise level in conference is 40-45 dBA Acceptable noise level in restaurants and workshop is 40-60 dBA